Drug effective in Tardive dyskinesia
1. Central anticholinergic
2. Dantroline
3. Succinylcholine
4. Terabenazine

Correct answer: 4. Terabenazine

Explanation: Ans. is 'd' i.e., Terabenazine o There is currently no satisfactory treatment for tardive dyskinesia other than discontinuation of drugo Terabenazine (TBZ) is currently considered as a first line and most effective medication for treatment of persistent and disabling tardive dyskinesia. Reserpine is an alternative to terabenazine.Read following information (from www.ncbi.nlm.nih.gov)The dopamine-depleting drugs reserpine and TBZ inhibit vesicular monoamine transporter (VMAT) at the presynaptic membrane of the nerve terminal; thus exposing monoamines to monoamine oxidase, which results in depletion of the synaptic pool of monoamines. Reserpine has slow onset and a prolonged duration of action that should be taken into consideration while changing the dose. It blocks both types of VMAT: VMAT1 found peripherally and VMAT2 present in CNS. TBZ has quicker onset and shorter duration of effect. It selectively inhibits VMAT2 and therefore does not have peripheral catecholamine depleting side effects, such as orthostatic hypotension and gastrointestinal side effects. TBZ is currently considered a first-line agent and the most effetive medication to treat persistent and disabling TD.